RAS gene codes for:
1. Growth factor receptor
2. Cell cycle regulator
3. Signal transduction protein
4. Nuclear transcription factor

Correct answer: 3. Signal transduction protein

Explanation: RAS is the most common oncogene mutation involved in human cancer.
It codes for signal transduction protein.
BRAF, ABL, JAK/STAT are other signal transduction proteins involved in neoplasia.